This drug is a classical example of pharmacological success but therapeutic failure. Reason for its therapeutic failure is coronary steal phenomenon. It is:
1. Glyceryl trinitrate
2. Dipyridamole
3. Propranolol
4. Diltiazem

Correct answer: 2. Dipyridamole